Most common organ injured in submerged head underwater explosion:
1. Tympanic membrane
2. GIT
3. Lungs
4. Heart

Correct answer: 1. Tympanic membrane

Explanation: Air blast Most commonly injured organ - tympanic membrane Most severely injured organ - lungs Under water blast Most commonly injured organ If head is out of water - small intestine If head is submerged - tympanic membrane Most severely injured organ - small intestine